In post-menopausal women, the advantage of using Raloxifene over Oestrogen is due to all of the following, EXCEPT:
1. No increase in incidence of breast carcinoma
2. Decreases fracture rates
3. Decreases DVT incidence
4. Avoids Endometrial hyperplasia

Correct answer: 3. Decreases DVT incidence

Explanation: SERM's (Selective Estrogen Receptor Modulators) has increased risk of developing deep vein thrombosis. The incidence rate is same as in the patients treated with estrogen replacement therapy. Ref: Richard Finkel, Michelle Alexia Clark, Pamela C. Champe, Luigi X. Cubeddu (2009), Chapter 25, "Estrogens and Androgens", In the book, "Pharmacology", 4th Edition, Lippincott Williams and Wilkins Publications, United States Page 302